Regarding CT scan all are true except -
1. 50% reduction in kVp reduces 50% radiation dose
2. Decrease in mA (milli amperes) decreases radiation dose exposure significantly in pediatric chest
3. Quality of the radiation generated depends upon voltage
4. Radiation dose exposure is directly related to the time of exposure

Correct answer: 1. 50% reduction in kVp reduces 50% radiation dose

Explanation: Quantity of exposure (radiation dose) is directly proportional to (kVp)2 so reducing kVp by 50% will reduce the radiation dose to 25 % (i.e 75% reduction in radiation dose)